Definitive treatment of all types of phobias
1. Behaviour therapy
2. Social therapy
3. Avoidance
4. Drug therapy

Correct answer: 1. Behaviour therapy

Explanation: A i.e. Behaviour therapy